Which of the following is not a route of transmission Rabies?
1. Bite
2. Lick
3. Aerosol
4. Ingestion

Correct answer: 4. Ingestion

Explanation: The prinicple routes of transmission of rabies virus are animal bites, licks on abraded skin or mucosa, through aerosols and through person to person contact. Rabies can also be transmitted through corneal and organ transplants.